Which of the following is true about cohort study?
1. Disease to risk factor study
2. Effect to cause study
3. Not associated with attributable risk
4. Associated with antecedent causation

Correct answer: 4. Associated with antecedent causation

Explanation: A cohort study is a particular form of longitudinal study that samples a cohort (a group of people who share a defining characteristic, typically those who experienced a common event in a selected period, such as birth or graduation), performing a cross-section at intervals through time. Ref: 25th edition, Park's Textbook of Preventive and Social Medicine, Page no. 83